metabolic syndrome is a side effect of
1. clozapine
2. aripiprazole
3. topiramate
4. ziprasidone

Correct answer: 1. clozapine

Explanation: CLOZAPINE * Importance * First SGA * TREATMENT FOR TREATMENT RESISTANT SCHIZOPHRENIA * TOC for TD * Anti suicidal * Psychosis in parkinsonian patients * Side effects * Agranulocytosis * Myocarditis * Seizure * Constipation * Weight gain * Metabolic syndrome Sialorrhea Ref. kaplon and sadock, synopsis of psychiatry, 11 th edition, pg no. 935